4-year-old child presents with sudden onest of sore throat, hoarseness and difficulty in breathing. The patient has a high temperature, is drooling and prefers to lean forward. The most likely diagnosis is
1. Acute epiglottitis
2. Bronchiolitis
3. Streptococcal pharyngitis
4. Whooping cough

Correct answer: 1. Acute epiglottitis

Explanation: (A) Acute epiglottitis # CLINICAL FEATURES:* Onset of symptoms is abrupt with rapid progression.* Sore throat and dysphagia are the common presenting symptoms in adults.* Dyspnoea and stridor are the common presenting symptoms in children. They are rapidly progressive and may prove fatal unless relieved. Fever may go up to 40degC. It is due to septicaemia. Patient's condition may rapidly deteriorate.